Positive Rinne indicates
1. AC>BC
2. BC>AC
3. BC=AC
4. None of the above

Correct answer: 1. AC>BC

Explanation: Positive Rinne`s test- AC>BC (Normal hearing, Sensorineural Hearing loss)Negative Rinne`s test- BC>AC (Conductive Hearing loss)False negative Rinne`s- Severe unilateral Sensorineural Hearing lossRef: Hazarika; 3rd ed; Pg 53